Melphalan is used in
1. Multiple myeloma
2. Wilm's tumour
3. Neuroblastoma
4. Retinoblastoma

Correct answer: 1. Multiple myeloma

Explanation: Ans. is 'a' i.e., Multiple myeloma Melphalan is an anticancer (alkylating) agent which is most effective in multiple myeloma.Most common toxicity of Melphalan is Bone marrow toxicity.